A 40 year old male is admitted with complaints of abdominal pain and headache. General physical examination revealed six scars on the abdomen from previous surgeries. He seems attention from the nurses. He demands multiple diagnostic tests including a liver biopsy. The treating team failed to diagnose any major physical illness in the patient. His mental status examination did not reveal any major psychopathology. One of the treating staff recognized him to have appeared in several other hospitals with abdominal pain and some other vague complaints. He is most likely suffering from:
1. Schizophrenia
2. Malingering
3. Somatization disorder
4. Factitious disorder

Correct answer: 4. Factitious disorder

Explanation: The history of multiple scars from previous surgeries Seeking attention from nurses Maintenance of sick role Demands for multiple diagnostic tests and identification by a staff all suggest a factitious disorder.